Drug used for treatment of Scorpion sting is:
1. Adrenaline
2. Morphine
3. Captopril
4. Prazosin

Correct answer: 4. Prazosin

Explanation: Ref; Harrison's principles of internal medicine 18th edition (page no; 3580) keeping the patient calm and applying pressure dressing and cold packs to the sting site are measures to decrease the absorption of venom. Iv infusion of midazolam to control agitation, flailing and involuntary movements Close monitoring during treatment with this drug and other sedatives or narcotics necessary For persons with neuromuscular symptoms like Hypertension and pulmonary oedema, response to nifedipine, nitroprusside, hydralazine, prazosin is seen